Oligodendrocytes are important in
1. Myelin formation
2. Blood brain barrier
3. Phagocytosis
4. Collagen synthesis

Correct answer: 1. Myelin formation

Explanation: Oligodendrocytes:According to their distribution they may be of intrafscicular,or perineural. The intrafascicular cells are found in the myelinated tracts.The perineuronal cells are seen on the surface of the somata of the neurons. REF.BDC Handbook of general anatomy,4th edition